The most common anomaly seen in the fetus of a mother taking lithium carbonate is –
1. Cardiac deformities
2. Neural tube defect
3. Limb reduction
4. Genitourinary deformities

Correct answer: 1. Cardiac deformities

Explanation: It causes Ebstein anomaly.